A lady has carcinoma in upper and outer quadrant of the breast. It usually metastasises to all of the following lymph nodes, EXCEPT:
1. Anterior axillary
2. Central
3. Lateral
4. Parasternal

Correct answer: 4. Parasternal

Explanation: Lymphatics from most of the breast drains into axillary lymph nodes. The medial most portion of the breast drain through the chest wall into the internal mammary lymph nodes. So carcinoma in this patient which is in the upper outer quadrant spreads to the anterior, central and lateral group of axillary nodes. Arterial supply of breast is derived from branches of internal thoracic artery, lateral thoracic artery, and posterior intercostal artery. Venous drainage is primarily into the axillary vein but also into internal thoracic vein, subclavian and azygos vein. Ref: Breast Ultrasound By A. Thomas Stavros page 835. Applied Radiological Anatomy for Medical Students edited by Paul Butler page 32.